Hypotension in acute spinal injury is due to:
1. Loss of sympathetic tone
2. Loss of parasympathetic tone
3. Orthostatic hypotension
4. Vasovagal attack

Correct answer: 1. Loss of sympathetic tone

Explanation: • High spinal cord injuries can also result in systemic hypotension because of loss of sympathetic tone.
• The patient will usually have hypotension and relative bradycardia and will show evidence of good peripheral perfusion on physical examination.
• The term neurogenic shock is used but is somewhat of a misnomer because these patients are typically hyperdynamic, with high cardiac output secondary to loss of sympathetic vascular tone.
Treatment
• Hypotension associated with high spinal injury can be treated by alpha-agonist phenylephrine.